A middle aged patient presents with complaint of right hypochondrial pain. On plain chest x ray, elevated right hemidiaphragm is seen. All of the following are possible diagnosis except:
1. Acute cholecystitis
2. Subphrenic abscess
3. Amebic liver abscess
4. Pyogenic liver abscess

Correct answer: 1. Acute cholecystitis

Explanation: Ans is 'a' i.e. Acute cholecystitis Also know. Level of right diaphragm on chest x ray: the dome of right diaphragm lies between 5 - 6'h ribs (anterior inferior ends of ribs). Left diaphragm lies 0.5 to 2.5 cm lower than the right dome of diaphragm.